Louis pasteur is not asscociated with -
1. Introduction of Complex media
2. Discovery of Rabies vaccine
3. Discovery of M.tuberculosis
4. Disproved spontaneous generation theory

Correct answer: 3. Discovery of M.tuberculosis

Explanation: The development of microbiology as a scientific discipline dates from Louis Pasteur (1822-95). He introduced techniques of sterilization and developed the steam sterilizer, Hot air oven, and autoclave. He also established the differing growth needs of different bacteria and contributed to the knowledge of anthrax, chicken cholera, and hydrophobia. An accidental observation that chicken cholera bacillus cultures left on the branch for several weeks lost their pathogenic property but retained their ability to protect the birds against subsequent infection by them, led to the discovery of the process of attenuation and the development of a live vaccine. He attenuated cultures of the anthrax bacillus by incubation at high temperature and proved that inoculation of such cultures in animals induced specific protection against anthrax. It was Pasteur who coined the term vaccine for such prophylactic preparation to commemorate the first of such preparations, namely cowpox employed by Edward Jenner for protection against smallpox Koch discovered tuberculosis bacilli(1882) and the cholera vibrio (1883) Ref: Ananthanarayan & paniker's textbook of microbiology 9th edition page no 3,4